In children presence of increased faecal fat excretion and increased faecal nitrogen levels is a feature of All Except  –
1. Pancreatic–insufficency
2. Bacterior overgrowth syndrome
3. Coeliac spree
4. Ulcerative–colitis

Correct answer: 4. Ulcerative–colitis

Explanation: This child has -

1)Steotorrhea


It is defined as increased fecal fat excretion.
Quantitatively it is defined as, when fecal fat is > 7 gm/day.

2) Azotorrhoea

It is defined as increased fecal nitrogen.
Quantitatively, when fecal nitrogen is >3 gm/day.
Fecal nitrogen is derived from dietry protein.
Steotorrhea and Azotorrhoea occur in malabsorption syndromes due to any cause → fat and proteins are not absorbed. Which results in steatorrhea and Azotorrhea.
Important causes in children are -


Chronic pancreatitis 
Bacterial overgrowth syndrome                     
Ileal disease (crohn's disease)
Celiac sprue
Intestinal lymphangiectasia